Despite their short half lives(2hrs) proton pump inhibitors cause a prolonged suppresion of acid secretiin(upto 48hr) because:
1. They are prodrugs and undergo activation gradually
2. They exit from the palsma and enter acid secretory canaliculi and stay there blocking the secretion of acid for a long time
3. They irreversibly inhibit the proton pump molecule and hence,acid secretion requires synthesis of new proton pumps
4. They are available as enteric coated capsules,from which drug is gradually released

Correct answer: 3. They irreversibly inhibit the proton pump molecule and hence,acid secretion requires synthesis of new proton pumps

Explanation: They irreversibly inhibit the proton pump molecule and hence,acid secretion requires synthesis of new proton pumps(ref Rang and Dale 5/e p370-371, goidman gilman 12/e p1311-1312) The activated form of PPI binds covalently with sulfahydryl groups of cysteine in the H+ K+ atpase ,irreversbly inacativating the pump molecule.acid secretion resumes only after new pump molecules are synthesized and inserted into the luminal membranes ptoviding a prolonged suppresion of acid secretion despite the much shorter pladma half lives of the parent compounds.